Preauricular sulcus is useful for:
1. Determination of age
2. Identification of sex
3. Determination of race
4. Cause of death

Correct answer: 2. Identification of sex

Explanation: Identification of sex